Bilateral, multicentric type of carcinoma in breast is usually
1. Mucoid carcinoma
2. Invasive lobular carcinoma
3. Infiltrating ductal carcinoma
4. Non-infiltrating ductal carcinoma

Correct answer: 2. Invasive lobular carcinoma

Explanation: .classification of breast carcinoma includes . (a) In situ carcinoma * DCIS (Ductal carcinoma in situ). * LCIS (Lobular carcinoma in situ). (b) Invasive. * Invasive ductal carcinoma. * Invasive lobular carcinoma. It is commonly multifocal and often bilateral. ref:SRB's manual of surgery,ed 3,pg no 468